Medical adrenalectomy is seen with :
1. Vincristine
2. Vinblastine
3. Mitotane
4. Methotrexate

Correct answer: 3. Mitotane